Pacemaker cells of the GIT can be seen in
1. Cardiac end of stomach
2. Long muscle of small intestine
3. Pyloric end of stomach
4. Fundus of stomach

Correct answer: 3. Pyloric end of stomach

Explanation: Pacemaker cells of GIT are absent in esophagus and proximal stomach.
Distal stomach & small intestine- Pacemaker cells present in outer circular muscle layer near myenteric plexus.
Colon- Submucosal border of circular muscle layer.